During 24 hour pH monitoring, what level of pH is considered as an episode of acid reflux?
1. Less than 2
2. Less than 3
3. Less than 4
4. Less than 5

Correct answer: 3. Less than 4

Explanation: Ans. is 'c' i.e., Less than 4 24 Hour pH monitoring for reflux esophagitis* 24 hour pH monitoring (pH probe study), is the most sensitive test for diagnosis of gastroesophageal reflux. The test is performed by placing a catheter with a microelectrode that measures pH in the distal esophageal lumen for a duration of 24 hours.* An episode of acid reflux usually is defined as an esophageal pH <4, for a duration greater than 15-20 seconds.* Interpretation of the pH probe study generally includes the total number of reflux episodes, the average duration of episodes, and the percentage of total time for the entire study, that the esophageal pH is less than 4, which is called as reflux index (RI).